Severe hypoglycemia, increased uric acid and renal failure are seen in ?
1. Carbohydrate metabolic disorder
2. Glycogen storage disorder
3. Lipoprotein deficiency disorder
4. Protein folding disorder

Correct answer: 2. Glycogen storage disorder

Explanation: Ans. is 'b' i.e., Glycogen storage disorder These symptoms are seen in Von-Gierhe disease (a glycogen storage disease), which is characterized bySevere fasting hypoglycemiaFatty liver with hepato and renomegalyProgressive renal diseaseGrowth retadation and delayed pubertyHyperlacticacidemia, hyperlipidemia, hyperuricemia